Which of the following modality is/are not included in behaviour therapy:
1. Role playing
2. Scheduling activities
3. Graded task assignment
4. Identifying maladaptive assumptions

Correct answer: 4. Identifying maladaptive assumptions

Explanation: Ans. D. Identifying maladaptive assumptionsBehavioral Techniques:This includes the various short-term modalities like social skills training problem solving techniques, asseiveness training, self-control therapy, activity scheduling & decision-making techniques.Among the behavioral techniques in cognitive therapy are scheduling activities, mastery and pleasure, graded task assignments, cognitive rehearsal, self-reliance training, role-playing, and diversion techniques.